Treatment of choice for panic attack is?
1. Beta blockers
2. Benzodiazepines
3. TCAs
4. Neuroleptics

Correct answer: 2. Benzodiazepines

Explanation: Ans is 'b' i.e. Benzodiazepines Treatment of Panic disorders* Two most effective treatment are:-A. Pharmacotherapy : - The cornerstone of drug therapy is antidepressants. SSRIs (Fluoxetine or other) are the preferred agents. Because therapeutic effect of antidepressants takes some time to develop, initially Benzodiazepines are given along with antidepressants to provide immediate relief from anxiety and panic attack. So, DOC of acute panic attack is benzodiazepine.Drug used for Panic disordersi) SSRIs: - Fluoxetine, Paroxetine, Sertaline, Fluvoxamine, Citalopram.ii) TCAs: - Clomipramine, imipramine.iii) BZDs: - Alprazolam, Clonazepam, Diazepam, Lorazepam.iv) MAOIs: - Tranylcypromine, Phenelzinev) RIMAs: - Moclobemide, Brofaraminevi) Atypical antidepressants: - Venalafaxinevii) Other: - Valproic acid, inositolB. Cognitive - Behavioral therapy: - Combination of cognitive or behavioral therapy with pharamacotherapy is more effective than either approach alone.* Other therapies include family therapy, insight-oriented psychotherapy (psychoanalysis and psychodynamic therapy).Remember* Drug of choice for panic disorders - SSRIs* Drug of choice for acute panic attack - Benzodiazepines